Which of the following drugs is useful in prophylaxis of motion sickness?
1. Hyoscine
2. Metoclopramide
3. Prochlorperazine
4. Ondansetron

Correct answer: 1. Hyoscine

Explanation: Ans. (A) Hyoscine(Ref: KDT 8th/e p132)Hyoscine is used for the prophylaxis of motion sickness whereas other drugs listed in the question are used for the treatment of vomiting.